Most common cause of CTEV ?
1. Arthrogryposis multiplex congenita
2. Spina bifida
3. Idiopathic
4. Neural tube defect

Correct answer: 3. Idiopathic

Explanation: Ans. is 'c' i.e., Idiopathic Causes of CTEV CTEV may be either primary or secondary 1. Primary or Idiopathic It is the most common type of CTEV Foot deformity (CTEV) is the only manifestation, otherwise musculoskeletal system is normal. 2. Secondary CTEV is a local manifestation of a systemic syndrome. Causes are :- Neurological disorders & neural tube defects eg myelomeningocele, & spinal dysraphism Paralytic disorder (due to muscular imbalance) as polio, spina bifida, myelodysplasia, & Fredreich's ataxia Arthrogiyposis multiplexa Larsen syndrome Freeman- Sheldon syndrome Diastrophic dwarfism Sacral agenesis, tibial deficiency, constriction rings & amniotic bands